The following are the features of "dystocia dystrophica syndrome" except:
1. The patient is stockily built with short thighs
2. They have normal fertility
3. Android pelvis is common
4. Often have difficult labour

Correct answer: 2. They have normal fertility

Explanation: Ans. is b, i.e. They have normal fertilityDystocia dystrophia syndrome: It is characterized by the following features:The patient is stockily built with bull neck, broad shoulder and short thigh.She is obese with a male distribution of hairs.Pelvis is of the android type.Occipitoposterior position is common.They are usually sub fertile, having dysmenorrhea, oligomenorrhoea or irregular periodThere is increased incidence of preeclampsia and a tendency for post maturity during pregnancy.During labour, inertia is common and there is a tendency for deep transverse arrest or outlet dystocia leading to either increased incidence of difficult instrumental delivery or cesarean section.There are increase chances of lactation failure during purperium.